Facial nerve supplies all except
1. Stylohyoid muscle
2. Stapedius
3. Anterior belly of digastric
4. Risorius

Correct answer: 3. Anterior belly of digastric

Explanation: Facial nerve supplies posterior belly of digastric muscle